Arterial O2 content is reduced in one of the following
1. Stagnant hypoxia
2. Anemic hypoxia
3. Histotoxic hypoxia
4. Ischemic hypoxia

Correct answer: 2. Anemic hypoxia

Explanation: the anemic type, in which the amount of functional hemoglobin is too small, and hence the capacity of the blood to carry oxygen is too low Ref: guyton and hall textbook of medical physiology 12 edition page number: 353,354,355